Clathrin is used in
1. Receptor mediated endocytosis
2. Exocytosis
3. Cell to cell adhesion
4. Plasma membrane

Correct answer: 1. Receptor mediated endocytosis

Explanation: Ans. (a) Receptor mediated endocytosisClathrin is involved in receptor mediated endocytosisClathrin is required for the endocytosis of LDL receptor cholesterol, transferrin bound iron, Nerve growth factor (Neurotrophins), hormones(insulin), epidermal growth factor